Bromocriptine is useful in all except:
1. Parkinsonism
2. Prolactinoma
3. Endogenous depression
4. Infertility

Correct answer: 3. Endogenous depression